Lysozyme is present in the following secretions of the body except:
1. Lacrimal secretions
2. CSF
3. Saliva
4. Respiratory tract secretions

Correct answer: 2. CSF

Explanation: Ans. is 'b' i.e., CSF(Ref: Ananthanarayan, 9th/e, p. 80 and 8th/e, p. 85)* Lysozyme is present in all secretions except CSF, sweat and urine.